Chronic cocaine abuse have following features except:
1. Peripheral gangrene
2. Black staining of tongue
3. Formication
4. Run amok

Correct answer: 4. Run amok

Explanation: Cocaine : Fatal dose: 1g oral/ 20 mg IV Chronic cocaine abuse: a) Ulceration of nasal septum / palate b) Peripheral gangrene c) Black color staining of tongue d) Cocaine bugs/ formication Chronic cannabis abuse: a. Amotivational syndrome b. Run amok: homicidal impulse/stabbing spree